Which of the following is not a diagnostic feature of gallstone ileus on a plain abdominal radiograph?
1. Ectopic calcified gallstone
2. Stone < 2.5 cm size in the intestine
3. Signs of small intestinal obstruction
4. Gas in the biliary tree

Correct answer: 2. Stone < 2.5 cm size in the intestine

Explanation: Characteristic feature of gallstone ileus is Rigler's triad :

Incomplete or complete small bowel obstruction; 
Gas in biliary tree; 
Ectopic gallstone.